Bleeding crisis in acute idiopathic thrombo-cytopenic purpura is managed by all except -
1. RhIG
2. Prednisolone
3. Intravenous immunoglobulin
4. Eltrombopag

Correct answer: 4. Eltrombopag

Explanation: Answer- D. EltrombopagMinor purpura- Intravenous immunoglobulin (1g/kg x ld)Intravenous immunoglobulinSevere life threatening bleeding- lntravenous immunoglobulin, High dose of glucocorticoid